Broadest neuroretinal rim is seen in:
1. Sup role
2. Inf pole
3. Nasal pole
4. Temporal lobe

Correct answer: 2. Inf pole

Explanation: Ans. Inf pole